Drug not causing exatithematous skin eruption –
1. Phenytoin
2. Hydrocortisone
3. Ampicillin
4. Phenylbutazone

Correct answer: 2. Hydrocortisone

Explanation: Drugs causing exanthematic reactions

Most common : - Ampicillin and penicillin, Phenylbutazone and other pyrazolones, Sulphonamides, Phenytoin,
Carbamazepine, Gold, Gentamicin, Meprobamate, Atropine
Less common : - Cephalosporins, Barbiturates, Thiazides, Naproxen, Isoniazid, Phenothiazines, Quinidine.